Pappu, 7 yrs old young boy, had fracture of lateral condyle of femur. He developed malunion as the fracture was not reduced anatomically. Malunion will produce:
1. Genu valgum
2. Genu varum
3. Genu recurvatum
4. Dislocation of knee

Correct answer: 1. Genu valgum

Explanation: Due to decrease growth over the lateral aspect in relation to the medial aspect, the person may develop Genu valgum. Ref: Essential Orthopedics By J Maheswari, 2nd Edition, Page 274